The main advantage of composites over unfilled direct filling resin is their:
1. Higher solubility in saliva
2. Lower modulus of elasticity
3. Esthetic excellence
4. Lower thermal co-efficient of expansion

Correct answer: 4. Lower thermal co-efficient of expansion